RNA primer in eukaryote is formed by ?
1. Ligase
2. RNA polymerase
3. Topoisomerase
4. Helicase

Correct answer: 2. RNA polymerase

Explanation: DNA synthesis cannot commence with deoxyribonucleotides because DNA polymerase cannot add a mononucleotide to another mononucleotide.Thus, DNA polymerase cannot initiate synthesis of complementary DNA synthesis strand of DNA on a totally single stranded template.For this, they require RNA primer, which is a short piece of RNA formed by enzyme primase (RNA polymerase) using DNA as a template.RNA primer is then extended by addition of deoxyribonucleotides.Later on, the ribonucleotides of the primer are replaced by deoxyribonucleotides. Primase is actually a DNA primase which has RNA polymerase activity. This DNA primase is also called DNA polymerase.